Thermoregulatory center is located at:
1. Pons
2. Hypothalamus
3. Medulla
4. Pituitary

Correct answer: 2. Hypothalamus

Explanation: Ans. B. HypothalamusThermoregulatory center is a center located in the HYPOTHALAMUS that regulates heat production especially heat loss. It is found in the anterior portion of the hypothalamus, especially the preoptic area.